FDA approved the use of modafinil as an adjunct in
1. Sleep apnea
2. Narcolepsy
3. Depression with lethargy
4. Tourette's syndrome

Correct answer: 1. Sleep apnea

Explanation: For obstructive sleep apnea the treatment of choice: Continuous positive airway pressure.Adjunct: Modafinil which is a sympathomimetic agonist for alpha and beta receptors.Ref: